Which is the best index for burden of disease and effectiveness of interventions?
1. Case fatality rate
2. Disability adjusted life years
3. Dependency ratio
4. Morbidity data

Correct answer: 2. Disability adjusted life years

Explanation: Ans. (b) Disability adjusted life years* Disability adjusted life years : Is a measure of the burden of disease in a defined population and the effectiveness of interventions; It expresses years lost to premature death and years lived with disability adjusted for its' severityALSO REMEMBER* DALYs can measure 'both mortality and disability together'* Case fatality rate measures 'virulence of an organism' or 'killing power of a disease'* Dependency ratio measures the 'need for society to provide for its' younger and older groups'* Morbidity data measures 'any departure from health'